First change observed in distal part, of a cut nerve is :
1. Axonal degeneration
2. Sprouting
3. Myelin degeneration
4. Schawn cells proliferation

Correct answer: 1. Axonal degeneration

Explanation: A i.e. Axonal degeneration